The lens capsule is produced from the following structure:
1. Lens epithelium
2. Lens fibers
3. Ciliary body
4. Vitreous humor

Correct answer: 1. Lens epithelium

Explanation: The lens is composed entirely of epithelium surrounded by a capsule. The lens epithelium secretes the lens capsule and regulates the transport of metabolites, nutrients and electrolytes to the lens fibers. The lens epithelium is a single layer of cells lining the capsule. The cells are of two types: those in the central zone that are not actively dividing, and cells in the pre-equatorial germinative zone that give rise to the lens fibers. Ref: Parsons' Diseases of the Eye By Ramanjit Sihota & Radhika Tandon, 2011, Page 257.